Branch of ulnar nerve in Arm ?
1. To FCU
2. To FDP
3. To FCP
4. No branch

Correct answer: 4. No branch

Explanation: Ans. is 'd' i.e., No branch